In a village having population of 1000, we found patients with certain disease. The results of a new diagnostic test on that disease are also follows:\r\nTest Result: \r\n\r\n \r\n\r\n\r\n\r\nDisease\r\n\r\n\r\nPresent\r\n\r\n\r\nPresent\r\n\r\n\r\n\r\n\r\n+\r\n\r\n\r\n180\r\n\r\n\r\n400\r\n\r\n\r\n\r\n\r\n-\r\n\r\n\r\n20\r\n\r\n\r\n400\r\n\r\n\r\n\r\n\r\n What is the percent prevalence of disease?
1. 0.2
2. 2
3. 18
4. 20

Correct answer: 4. 20

Explanation: Village population = 1000 Total disease person = 180+20 = 200 In this 180 true positive so 20(200-180) false negative by test. But we want only percentage prevalence of disease only. Prevalence = (200/1000) x 100 = 20% Prevalence of disease is 20% in village % prevalence of disease by using diagnostic test used = (180/1000) x 100 = 18% Ref: Park's Textbook Of Preventive And Social Medicine By K. Park, 17th Edition, Page 56; Park's Textbook Of Preventive And Social Medicine By K. Park, 18th Edition, Page 55